Which of the following is a vector for Dengue fever
1. Aedes aegypti
2. Culex
3. Anophelous
4. Mansonia

Correct answer: 1. Aedes aegypti

Explanation: Ans: a) Aedes aegypti( Ref: Harrison 17th ed Pg 1230)Aedes aegypti is the vector for Dengue fever.